Drug of choice for multidrug resistant staphylococcus aureus is:
1. Clindamicin
2. Streptogramins
3. Vancomycin
4. Aztreonam

Correct answer: 3. Vancomycin

Explanation: Ans: c (Vancomycin)Ref: Harrison 16 ed pg. 821, KDT 6 ed. Pg.732Vancomycin is the drug of choice for MRS A. Quinupristin and dalfopristin are both streptogramin antibiotics that act on MRSA and VRSA. They are used mainly for VRSA.Drugs useful against MRSA:Vancomycin Cotrimoxazole Doxycycline Minocycline Fluroquinolones - ciprofloxacin, levofloxacin Linezolid Streptogramins Quinipristine DalfopristineInvestigational Drugs for MRSA:Oritavancin Tigecycline